All of the following statements about CT scan features of adrenal adenoma are true, EXCEPT:
1. Calcification is Rare
2. Low Attenuation
3. Early enhancement with slow wash out of contrast
4. Regular margins

Correct answer: 3. Early enhancement with slow wash out of contrast

Explanation: Adrenal adenoma exhibit rapid washout on contrast enhanced CTscan. On CT adrenal adenomas are usually solitary and well encapsulated lesions less than 3cm in diameter. They are typically homogenous in their attenuation and enhancement pattern. Benign adrenal adenomas have high intracellular lipid content therefore has lower attenuation Ref: Clinical MRI of the Abdomen : Why, How, When By Nicholas Gousoyiannis, Page 305; Adrenal Imaging By Michael A. Blake, Giles W. L. Boland, Page 54; Endocrine Neoplasia By Cord Sturgeon, Page 127